Increased gastric acid secretion occurs in
1. Type I gastric ulcer
2. Type III gastric ulcer
3. Type IV gastric ulcer
4. Type V gastric ulcer

Correct answer: 2. Type III gastric ulcer

Explanation: Gastric ulcersTYPELOCATIONACID LEVELI60%Lesser curve at incisuraLow to normalII15%Gastric body with duodenal ulcerIncreasedIII20%Prepyloric IncreasedIVLess than 10%High on lesser curveNormalVAnywhereNormal, NSAID-inducedSome ulcers may appear on the greater curvature of the stomach,but the incidence is less than 5%Sabiston 20e pg: 1233